Which of the following scoring is done to assess respiratory distress in Neonates?
1. CRIB score
2. APGAR score
3. Silverman - Anderson score
4. SNAP Score

Correct answer: 3. Silverman - Anderson score

Explanation: The respiratory distress severity in neonate is assessed by 2 scoring systems:* Silverman- Anderson Retraction Score and * Downes Score * Silverman- Anderson Retraction Score - more suited for preterm with Hyaline Membrane Disease while,* Downes Score - can be applied to any gestational age and respiratory condition.